Is not the clinical presentation of herpes simplex keratitis:
1. Diffuse stromal necrotic keratitis
2. Punctate epithelial keratitis
3. Disciform keratitis
4. Nummular keratitis

Correct answer: 4. Nummular keratitis

Explanation: Ans. Nummular keratitis